Suprarenal gland develops from -
1. Metanephros
2. Ureteric bud
3. Neural crest
4. Endodem

Correct answer: 3. Neural crest

Explanation: Ans. is 'c' i.e., Neural crest o Suprarenal (adrenal) gland consists two part :Superficial cortex : Derived from coelomic epithelium (mesodermal).Deepar medulla : Derived from neural crest (ectodermal).